PET stands for -
1. Positive electron tomography
2. Proton-electron therapy
3. Positron emission tomography
4. Photon emitting tomography

Correct answer: 3. Positron emission tomography

Explanation: PET stands for positron emission tomography